Upper dose limit of lignocaine in a 70 kg adult is
1. 100 mg
2. 150 mg
3. 200 mg
4. 250 mg

Correct answer: 3. 200 mg

Explanation: Few common local anaesthetic drugs Name Maximum dose Comments Lignocaine 3 mg/kg (7 mg/kg with adrenaline) Early onset, short acting, good sensory block Bupivacaine 2 mg/kg Long lasting, more cardio toxic, must never be used intravenously Prilocaine 6mg/kg (9 mg/kg with adrenaline) Least systemic toxicity, causes methemoglobinemia) Ropivacaine 3-4 mg/kg Less cardio toxic, greater sensory-motor seperation Levobupivacaine 2mg/kg Isomer of Bupivacaine with fewer cardio toxic properties Ref: Bailey and love 27th edition Pgno : 273